Salt and pepper pot appearance of skull is seen in?
1. Hyperparathyroidism
2. Multiple myeloma
3. Hyperthyroidism
4. Pseudo hyperparathyroidism

Correct answer: 1. Hyperparathyroidism

Explanation: ANSWER: (A) HyperparathyroidismREF: Essentials of aic Radiology: A Multimodality Approach - Page 276Subperiosteal bone resorption is pathognomic of hyperparathyroidism. In the skull areas of reduced radiopacity is intermingled with sclerotic radiopaque areas to give a characteristic "salt and pepper appearance"